Primary monkey kidney culture are used for dignostic crieteria for?-
1. Adenovirus
2. Poliovirus
3. HIV
4. Measles

Correct answer: 2. Poliovirus

Explanation: Primary monkey kidney cultures are used for diagnostic cultures and vaccine production of polio virus REF:ANANTHANARYANAN TEXT BOOK OF MICROBIOLOGY 9EDITION PGNO.486